The recommended hemoglobin level in male patients with polycythemia rubravera to avoid thrombotic episodes is:
1. 14 g/dl
2. 12 g/dl
3. 10g/dl
4. 8g/dl

Correct answer: 1. 14 g/dl

Explanation: Polycythemia rubra vera It is an indolent disorder and thrombosis is the most significant complication. Maintenance of the hemoglobin level at 140 g/L (14 g/dL; hematocrit Phlebotomy : serves to help this aim. Phlebotomy reduce hyperviscosity by bringing the red cell mass into the normal range. Periodic phlebotomies maintain the red cell mass within the normal range. Periodic phlebotomy is usually required at 3-month intervals Ref: Harrison, E-18,P-904.